Bilateral ablation of which of the following structures results in the inability to form long-term memories?
1. Amygdala
2. Cingulate gyrus
3. Hippocampus
4. Hypothalamus

Correct answer: 3. Hippocampus

Explanation: Bilateral ablation of the hippocampus results in the inability to form long-term memories (Amnesia syndrome) Hippocampus plays a major role in learning and memory consolidation through Papez circuit and convert short term memory to long term memory.